Which tumor is not seen int the anterior mediastinum -
1. Teratoma
2. Thymic tumours
3. Thytroid tumours
4. Neurofibroma

Correct answer: 4. Neurofibroma

Explanation: Ref:Pathologic Basis of Disease (Robbins and cotran) 7th edition ,page no.765 Mediastinal tumors and other mass Superior Mediastinum Lymphoma Thymoma Thyroid lesions Metasttic carcinoma Parathyroid tumors Anterior Mediastinum Thymoma Teratoma Lymphoma Thyroid lesions Parathyroid tumours Posterior Mediastinum Neurogenic tumours Gastroenteric Hernia Middle Mediastinum Bronchogenic cyst Pericardial cyst Lymphoma